Which of the following drugs should not be administered concomitantly with warfarin as it decreases the effect of oral anticoagulants
1. Broad spectrum antibiotic
2. Cimetidine
3. Aspirin
4. Oral contraceptive

Correct answer: 4. Oral contraceptive

Explanation: Oral contraceptives Estrogen increases the synthesis of various clotting factors and produce a hypercoagulable state. Thus OCP containing estrogen decrease the effectiveness of warfarin and other oral anticoagulants.